On the basis of X height of b/w lower edge of mental foramen & inferior border of mandible original alveolar ridge height will be?
1. 2X
2. 3X
3. 4X
4. 5X

Correct answer: 2. 3X